Most common malignant tumor of kidney:
1. Papillary carcinoma
2. Papillary adenoma
3. Renal cell CA
4. Wilms tumor

Correct answer: 3. Renal cell CA

Explanation: Ans. (c) Renal cell CARef: Robbins 9th ed. 1952* Robbins 9th ed. States: "by far the most common malignant tumor is renal cell carcinoma, followed by Wilms tumor, which is found in children.* Incidence of RCC is: 85%* M > F (2:1)* Most of the RCC are sporadio AD (familial)Must KnowKIDNEY CA (extract from Robbins 9th ed)* MC benign tumor of kidney: Renal papillay adenoma* MC malignant tumor of kidney: RCC > Wilms tumor* MC kidney tumor associated with tuberous sclerosis: Angiomyolipoma* MC type of RCC: Clear cell CA (70 - 80%)* MC type of renal CA associated with dialysis: Papillary CA* MC renal CA associated with sicke cell trait: Medullary CA* Renal CA having best prognosis: Chromophobe I